All of the following drugs are associated with corneal deposition except:
1. Chloroquine
2. Amiodarone
3. Quinacrine
4. Antimony

Correct answer: 4. Antimony

Explanation: Ans. D: Antimony Amiodarone is an alpha and beta antagonist and is extremely effective in treating otherwise uncontrollable ventricular arrhythmias. One of the important side-effect is corneal deposits. The deposits are in the corneal epithelium basal cell layer, and occur in stages (mild, moderate, and severe), which seem to correlate with dosage and duration of treatment. Vision is rarely diminished by these deposits, and if it is, discontinuation of the drug therapy will cause regression of the deposits with eventual return to normal beginning. The deposits look similar to those seen in chloroquine toxicity and Fabry's glycolipidosis. Other adverse effects reported in the include thyroidopathy, cutaneous pigmentation, and neuromyopathy. Antimalarial drugs including Chloroquine, quinacrine, and hydroxychloroquine can cause changes in the cornea. Symptoms such as halos around lights, glare and light sensitivity may occur. There is no change in the person's visual acuity. Once drug therapy is stopped both subjective symptoms and objective corneal signs disappear.